All are true about Bupivacain EXCEPT
1. Less cardiotoxic than lignocaine
2. Dose increases with adrenaline
3. Long acting
4. Cannot given in veins

Correct answer: 1. Less cardiotoxic than lignocaine

Explanation: (Less cardiotoxic than lignocaine) (391 Less' 13th) (357-KDT 6th)* 0.25% bupivacain or 0.5% lidocaine both with adranaline are suitable. The dose of bupivacain should not exceed 2mg / kg (456 - Lees)* Bupivacaine causes more sensory than motor block* It is not recommanded for intravenous regional analgesia because leakage post the tourniquet in to blood stream may cause toxic or even fatal complication* The duration of effect is between 5 and 16 hours - it is one of the longest - acting local analgesics known* Lignocaine - It is less toxic than bupivacain but cardiotoxic and CNS symptoms of poisoning may occur* The new local anaesthetics levobupicaine and ropivacaine undoubtedly safer than bupivacaine, But case reports of convulsions and cardiac arrest are emerging (385 - Lees 13th)